A patient of closed angle Glaucoma the treatment of choice in other eye is
1. Acetolazimide
2. Laser iridotomy
3. Pilocarpine
4. Timolol eye drop

Correct answer: 2. Laser iridotomy

Explanation: B i.e. Laser iridotomy